Oral contraceptive pills cause all except :
1. Dysmenorrhea
2. Mastalgia
3. Nausea
4. Chloasma

Correct answer: 1. Dysmenorrhea

Explanation: Ans. is a i.e. Dysmenorrhea OCP's have antiovulatory effect and by virtue of this property, relieve dysmenorrhoea (rather than causing it), Premenstrual tension and Mittleschmerz syndrome.